Treatment for parathyroid hyperplasia is
1. Removal of 3 1/2 glands
2. Removal of all four glands
3. Calcium
4. Enlarged glands to be removed

Correct answer: 1. Removal of 3 1/2 glands

Explanation: Treatment of primary hyperparathyroidism Initial correction of hypercalcemia (Rapid IV NaCl with Furosemide)* Neck exploration is done and t/t done accordingly